Complete H. Mole are:a) Triploidb) Diploidc) Increased β-HCGd) 2% cases may convert to carcinomae)  Chance of malignant conversion less than partial mole
1. abc
2. bcd
3. ac
4. bd

Correct answer: 2. bcd

Explanation: Differences between complete and partial mole